Drug useful for gout :
1. Pyrazinamide
2. Rifampicin
3. Allopurinol
4. Naloxone

Correct answer: 3. Allopurinol